Which of the following is characteristic of a single exposure common vehicle outbreak ?
1. Frequent secondary cases
2. Severity increases with increasing age
3. Explosive
4. Cases occur continuously beyond the longest incubation period

Correct answer: 3. Explosive

Explanation: Ans. is 'c' i.e., Explosive